All of the following comes under primordial prevention of myocardial infarction except
1. Maintenance of normal body weight
2. Changes in the life style
3. Change in the nutritional health
4. Screening for hypertension

Correct answer: 4. Screening for hypertension

Explanation: A novel approach to primary prevention of CHD is primordial prevention. It involves preventing the emergence and spread of CHD risk factors and lifestyles that have not yet appeared or become endemic. Ref: Park; 23rd ed; Pg 370